True about pseudocyst of pancreas -
1. Is a true cyst
2. Common with penetrating trauma abdomen
3. Treated with cystogastrostomy if size > 2 cm
4. Can present from mediastinum to pubis

Correct answer: 4. Can present from mediastinum to pubis

Explanation: Answer is 'd' i.e. can present from mediastinum of pubis